Finish line which have sliding fit is/are:
1. Chamfer
2. Knife edge.
3. Bevel
4. All of the above

Correct answer: 4. All of the above